Emptying of stomach is facilitated by:
1. Secretin
2. CCK-PZ
3. GIP
4. Gastrin

Correct answer: 4. Gastrin

Explanation: Ans. D i.e. GastrinGastrinIt is a peptide hormone that stimulates secretion of gastric acid (HC1) by the parietal cells of the stomach and aids in gastric motility.It is released by G cells in the antrum of the stomach (the portion of the stomach adjacent the pyloric valve), duodenum, and the pancreas.Its release is stimulated by peptides in the lumen of the stomach.